Predisposing factor for Nasal myiasis -
1. Allergic rhinitis
2. Vasomotor rhinitis
3. Atrophic rhinitis
4. Rhinitismedicomentos

Correct answer: 3. Atrophic rhinitis

Explanation: Ans. is 'c' i.e., Atrophic rhinitis Nasal mviasis (Maggots in nose)o It results from the presence of ova of flies particularly chrysomia species in the nose which produce ulceration and destruction of nasal structure. Mostly seen in atrophic rhinitis when the mucosa becomes insensitive to flies laying eggs inside.Clinical featureso Initial symptoms (3-4 days maggots) Intense irritation, sneezing, headache, blood stained disharge, lacrimation. o Later Maggots may crawl out of nose and there is foul smell.Complicationso Destruction of nose, sinuses, soft tissues of face, palate and eyeball, o Fistulae in nose and palate, o Death occurs due to meningitis.Treatmento Chloroform water or vapor must be instilled in order to anaesthetize or kill the maggots and so release their grip from the skin.